A 67 year old lady is brought in by her 6 children saying that she has gone senile. Six months after her husband's death she has become more religious, spiritual and gives lots of money in donation. She is occupied in too many activities and sleeps less. She now believes that she has a goal to change the society. She does not like being brought to the hospital and is argumentative on being questioned on her doings. The diagnosis is:-
1. Depression
2. Schizophrenia
3. Mania
4. Impulse control disorder

Correct answer: 3. Mania

Explanation: Kindly don't get confused with the fact that the symptoms are following husband's death. Even negative life events can precipitate manic episode. This patient has increased religiosity, overspending, increased activity levels, decreased sleep, new interests and goals and lack of insight. All these symptoms are suggestive of mania.